'Coral red' fluorescence on Wood's lamp is seen in
1. Erythrasma
2. Erysipelas
3. Pityriasis versicolor
4. Tinea corporis

Correct answer: 1. Erythrasma

Explanation: Ans. a (Erythrasma) (Ref. H-17/p. 312)A Wood's lamp generates 360-nm ultraviolet (or "black") light that can be used to aid the evaluation of certain skin disorders. For example, a Wood's lamp will cause erythrasma (a superficial, intertriginous infection caused by Corynebacterium minutissimum) to show a characteristic coral pink color.Color changes in Wood's Lamp (360-nm UV)ConditionsFindingErythrasma (C.Minutissimum)Coral RedTinea (Pityriasis) VersicolorDull YellowFrecklesAccentuatedPost inflammatory (Dermal)FadesVitiligoTotally whiteTinea CapitisBrilliant GreenTinea Capitis by Microsporum canisYellowTinea Capitis by M. audouiniYellowPseudomonasPale Blue/GreenTuberous Sclerosis (Ash Leaf)Blue whiteUrine in Porphyria Cutanea TardaPinkish RedERYSIPELAS# is due to S. pyogenes# is characterized by an abrupt onset of fiery-red swelling of the face or extremities.# Infants and elderly adults are most commonly afflicted.# The severity of systemic toxicity varies.# The distinctive features of erysipelas are well-defined indurated margins, particularly along the nasolabial fold; rapid progression; and intense pain.# Flaccid bullae may develop during the second or third day of illness, but extension to deeper soft tissues is rare.# Treatment with penicillin is effective.